Flagellated amoeba is
1. Entamoeba histolytica
2. Naegleria fowleri
3. Acanthamoeba
4. Balamuthia

Correct answer: 2. Naegleria fowleri

Explanation: Naegleria fowleri also called brain eating amoeba is flagellated.